A 32-year-old patient with multiple fractures of the pelvis has no cutaneous sensation in the urogenital triangle. The function of which of the following nerves is most likely to be spared?
1. Ilioinguinal nerve
2. Iliohypogastric nerve
3. Posterior cutaneous nerve of the thigh
4. Pudendal nerve

Correct answer: 2. Iliohypogastric nerve

Explanation: The iliohypogastric nerve innervates the skin above the pubis. The skin of the urogenital triangle is innervated by the pudendal nerve, perineal branches of the posterior femoral cutaneous nerve, anterior scrotal or labial branches of the ilioinguinal nerve, and the genital branch of the genitofemoral nerve.